In otosclerosis during stapedectomy surgery, prosthesis used is -
1. Teflon biston
2. Grommet
3. Total ossicular replacement
4. All

Correct answer: 1. Teflon biston